All are true about Doderlein's bacillus, EXCEPT?
1. Gram positive bacteria
2. Grows in acidic media
3. Converts glycogen into lactic acid
4. Estrogen suppresses growth of this bacillus

Correct answer: 4. Estrogen suppresses growth of this bacillus

Explanation: Doderlein's bacillus: Rod-shaped gram-positive bacillus which grows anaerobically on acid media, Appears in the vagina 3-4 days after birth and disappears after 10-14 days, Its presence is dependent on estrogen, Function is to convert the glycogen present in the vaginal mucosa into lactic acid so that the vaginal pH is maintained towards acidic side. This acid pH prevents growth of the other pathogenic organisms.